Withdrawal delirium, hallucinations and amnestic disorder is seen with
1. Cannabis
2. Opiates
3. Alcohol
4. Amphetamines

Correct answer: 3. Alcohol

Explanation: Withdrawal delirium (delirium tremens), Hallucinations (alcoholic hallucinosis) and amnestic disorder (Korsakoff's syndrome) is seen in alcohol withdrawal.